All of the following are true of Eales disease except –
1. Occurs in the young
2. Vitreous hemorrhage is present
3. Retinal detachment
4. Optic neuritis

Correct answer: 4. Optic neuritis

Explanation: Eale's disease is characterized by recurrent bilateral vitreous hemorrhage in young adult (20-30 yrs) males.
Tractional retinal detachment may occur as a complication. Optic neuritis is not a feature of Eale's disease.